Organelle which plays a pivotal role in apoptosis is:
1. Cytoplasm
2. Golgi complex
3. Mitochondria
4. Nucleus

Correct answer: 3. Mitochondria

Explanation: Programmed cell death is a central feature of normal tissue development and turnover and can be triggered by extrinsic signals (including cytotoxic T cells and inflammatory cytokines),or intrinsic pathways (including DNA damage and intracellular stress). Mitochondria play a central role in the intrinsic pathway of apoptosis.